Ketamine contraindicated in all Except
1. Head injury
2. Hypertension
3. Asthma
4. Glaucoma

Correct answer: 3. Asthma

Explanation: (Refer: stoelting's pharmacology and physiology in anaesthetic practice, 5th edition, pg no.294)